All of the following are mortality indicators except?
1. Disability adjusted life years (DALY)
2. Years of potential life lost (YPLL)
3. Life Expectancy
4. Case fatality rate

Correct answer: 1. Disability adjusted life years (DALY)

Explanation: Disability adjusted life years (DALY) is a disability rate. Mortality Indicators are: Crude death rate Life expectancy Infant mortality rate Proportion mortality rate Case fatality rate Years of potential life lost (YPLL)